When a 'spontaneous perforation' of the oesophagus occurs as a result of severe barotrauma while a person vomit against a closed glottis, what is the condition known as
1. Maltory - weiss syndrome
2. Boerhaave syndrome
3. Plummer vinsion syndrome
4. Kartergener Syndrome

Correct answer: 2. Boerhaave syndrome

Explanation: The pressure in the oesophagus increases rapidly and the oesophagus burst at its weakest point in the lower third sending a stream of material into the mediastinum and often the pleural cavity as well.